Most common cause of maternal mortality -
1. Anemia
2. Abortion
3. Hemorrhage
4. Infection

Correct answer: 3. Hemorrhage

Explanation: Ans. is 4c' i.e., Hemorrhage Direct cause of maternal morialitv in IndiaIndirect causes contributeo Severe bleeding (25%)o Infection (15%)o Eclampsia (12%)o Obstructed labour (8%)o Unsafe abortion (13%)o Other direct causes - Ectopic pregnancy, Embolism, Anaesthesia related.o Anaemia (19%)o Malariao Heart diseases